Beta HCG is secreted by ?
1. Ovary
2. Pituitary
3. Corpus luteum
4. Placenta

Correct answer: 4. Placenta

Explanation: Ans. is 'd' i.e., Placenta